Maximum refractive index is in ......... component of eye
1. Anterior surface of lens
2. Posterior surface of lens
3. Centre of lens
4. Cornea

Correct answer: 3. Centre of lens

Explanation: Ans- C Refractive index of various eye partsa. Cornea-1.376b. Aqueous humor-1.335c. Lenscortex 1.39d. Lens nucleus : 1.41e. Vitreous humor-1.336